The characteristic features of poisonous snakes are all EXCEPT :
1. Long fangs
2. Compressed tail
3. Nocturnal habit
4. Belly scales are incomplete

Correct answer: 4. Belly scales are incomplete

Explanation: D i.e. Belly scales are incomplete